A hypertensive patient is found to have a partial obstruction of the renal artery due to an atherosclerotic plaque. The resultant decrease in blood flow causes the increased release of an enzyme from which of the following structures?
1. Afferent arterioles
2. Arcuate arteries
3. Juxtaglomerular cells
4. Kupffer cells

Correct answer: 3. Juxtaglomerular cells

Explanation: The juxtaglomerular cells are in the wall of the afferent arteriole, close to the glomerulus. In response to decreased blood pressure, they secrete renin, an enzyme that converts angiotensinogen to angiotensin I. Angiotensin converting enzyme, found in the lungs, converts angiotensin I to angiotensin II. Angiotensin II increases peripheral vascular resistance directly and stimulates aldosterone secretion, resulting in increased reabsorption of sodium and water in the distal convoluted tubules. The afferent arteriole carries blood from the interlobular arteries to the glomerulus. Filtration of blood occurs in the glomerulus, with the filtrate entering Bowman's capsule. The arcuate arteries are branches of the interlobar arteries of the kidney. The arcuate arteries lie in the corticomedullary junction of the kidney and give rise to interlobular arteries, which enter the cortex of the kidney and supply the glomeruli. Kupffer cells are found in the liver, along the sinusoids. They are phagocytic cells that are part of the reticuloendothelial system.